When a person changes position from standing to lying down position , following occurs
1. Venous return to heart rises rapidly
2. Decrease in blood flow to the lung apex
3. Heart rate increases and settles at a higher level
4. Cerebral blood flow becomes more than that in standing position and settles at a higher level

Correct answer: 1. Venous return to heart rises rapidly